Southern blotting is used for -
1. RNA
2. DNA
3. Protein
4. Antibody

Correct answer: 2. DNA

Explanation: Ans. is 'b' i.e., DNA Blotting techniques || | |Southern blottingNorthern blottingImmunoblottingorWestern blotting||For D.N.A.For R.N.A. |For antigen